All are true regarding atrophic rhinitis except -
1. More common in males
2. Crusts are seen
3. Anosmia is noticed
4. Young's operation is useful

Correct answer: 1. More common in males